Muscle spared in ERB's palsy?
1. Deltoid
2. Brachialis
3. Biceps
4. Coracobrachilis

Correct answer: 4. Coracobrachilis

Explanation: Root value involved in ERB's palsy is C5 and C6 which gives supply to Axillary nerve & Musculocutaneous nerve.Coracobrachialis is supplied by C7 and hence spared.